Paul Bunnell test is seen in -
1. Infections mononucleosis
2. Syphilis
3. Typhoid
4. RA

Correct answer: 1. Infections mononucleosis

Explanation: Ans. is 'a' i.e., Infections mononucleosis Serological TestsTypeUse to diagnosePaul Bunnell testTube agglutinationInfectious mononucleosisWasserman reactionComplement fixation testsyphilisRose waaler testPassive hemagglutinationRheumatoid arthritisWidal testTube agglutinationTVpboidVDRLSlide precipitationSyphilisKahn s flocculation testTube precipitationSyphilisWeil Felix testHeterophile tube agglutinationationRickettsiaeLancejield testRing precipitationGroup of streptococciAscoli's testRing precipitationAnthrax